Which of these is used to measure contraceptive efficacy?
1. Pearl index
2. William rate
3. Quasi-rate
4. AFS score

Correct answer: 1. Pearl index

Explanation: The use-effectiveness of contraceptive method is expressed by Pearl rate . Pearl rate or pearl index was introduced by Raymond Pearl in 1932. It is calculated as: total accidental pregnancies x 1200 / number of women observed x total months of contraceptive use It is expessed as HWY (hundred women years) AFS ( American fertility Society ) score predicts severity of endometriosis and risk of recurrence after surgery